Following is/ are the clinical feature/ s of lepromatous leprosy -
1. Leonine facies
2. Loss of libido and impotence
3. Saddle nose
4. All the above

Correct answer: 4. All the above

Explanation: Ans. is 'd' i.e., All the above Important clinical features oflepromatous leprosyo Diffuse erythema, tingling, nasal stuffiness or ep is tax is are earliest manifestations.o Nodules with predeliction for external ears,o Madarosis (loss of eye lashes and eye brow s),o Saddle nose (Collapse of nasal bridge) and perforation of palate.o Testicular involvement results in loss of testicular sensation, loss of libido, impotence & gynaecomastia.o Leonine face (Diffuse dermal infiltration of face).o Symmetrical thickening of peripheral nerve.?o Trophic uicer/neuropathic ulcer/Perforating ulcer develop frequently in lepromatous leprosy because sensory impairment appears before motor weakness and the patient continues to misuse his hands and feet,o Systemic involvementLymphadenopathy, Hepatomegaly, ocular involvement.